The IgA anti TTG (Tissue Transglutaminase) is a sensitive marker for diagnosis of:
1. Celiac Disease
2. Eosinophilic Gastroenteritis
3. Primary Immunodeficiency
4. Crohn's Disease

Correct answer: 1. Celiac Disease

Explanation: Celiac disease: specific antibodies comprise- IgA anti TTG Endomysial antibodies Antibodies against deamidated forms of gliadin peptides